Mallampati score is used in:
1. Thoracoabdominal angular curvature during respiration
2. Flexion and extension of neck during intubation
3. Free rotation
4. To assess difficulty in intubation in oral cavity

Correct answer: 4. To assess difficulty in intubation in oral cavity

Explanation: Mallampati score is used to predict difficult tracheal intubation based on the size of tongue base relative to the oropharyngeal space. Mallampati classification: Class I: soft palate, fauces,entireuvula, pillars Class II: soft palate, fauces,poionof uvula Class III: soft palate, base of uvula Class IV: hard palate only